A middle aged women having depression took a very high dose of amitriptyline in an attempt to commit suicide. Which of the following regarding the management of this is wrong?
1. Atropine sulphate is the antidote of choice
2. Diazepam is used to control seizures
3. Sodium bicarbonate is used to treat acidosis
4. Resuscitation may be required in severe cases

Correct answer: 1. Atropine sulphate is the antidote of choice

Explanation: TCAs acts by competitively inhibiting the Muscuranic recepetors, therefore atropine cannot be given along with it because of its antimuscuranic property Some patients may develop seizures which can be treated with benzodiazepines like diazepam Sodium bicarbonate can be given to these patients: To overcome cardiac depression effects as it can increase the extracellular sodium levels. It can also be used to manage underlying acidosis in such patients.